Which of the following conditions is associated with maximum hearing loss?
1. Otitis media with effusion
2. Partial fixation of the stapes footplate
3. Ossicular disruption with intact tympanic membrane
4. Disruption of malleus and incus as well tympanic membrane

Correct answer: 3. Ossicular disruption with intact tympanic membrane

Explanation: Maximum hearing loss occur when there is ossicular interruption with intact tympanic membrane (54dB). Ossicular interruption with perforation result in 38dB hearing loss, hearing loss in ottitis media with effusion averages about 26-30 dB. Partial or complete fixation of the stapes results in conductive hearing loss that ranges from 5dB to 60dB.